Most common feature of sarcoidosis on chest X-ray is:
1. Pleural effusion
2. Cavitation
3. Bilateral hilar lymphadenopathy
4. Pneumothorax

Correct answer: 3. Bilateral hilar lymphadenopathy

Explanation: Ans. C: Bilateral hilar lymphadenopathy Sarcoidosis may be discovered unexpectedly on routine chest films as bilateral hilar lymphadenopathy Sarcoidosis/Sarcoid/Besnier-Boeck disease/Besnier-Boeck-Schaumann disease It is a disease in which abnormal collections of chronic inflammatory cells (granulomas) form as nodules in multiple organs. The combination of erythema nodosum, bilateral hilar lymphadenopathy and arthralgia is called Lofgren syndrome. This syndrome has a relatively good prognosis Chest X-ray changes are divided into four stages - Stage 1: Bihilar lymphadenopathy - Stage 2: Bihilar lymphadenopathy and reticulonodular infiltrates - Stage 3: Bilateral pulmonary infiltrates - Stage 4: Fibrocystic sarcoidosis typically with upward hilar retraction, cystic and bullous changes